Case notification under international health regulations is done for which of the following:
1. Hepatitis B
2. HIV
3. Yellow fever
4. All of the above

Correct answer: 3. Yellow fever

Explanation: Ans. C: Yellow fever